True about dentition –
1. Hypothyroidism causes delayed dentition
2. Premolar is not seen in primary dentition
3. 3rd  molar is the last to appear in secondary dentition
4. All of these

Correct answer: 4. All of these